Which of the following is WRONG regarding ophthalmic artery:-
1. Present in dura along with optic nerve
2. Supplies anterior ethmoidal sinus
3. Artery to retina is end artery
4. Leaves orbit through inferior orbital fissure

Correct answer: 4. Leaves orbit through inferior orbital fissure

Explanation: Ophthalmic artery arises from Internal Carotid Artery as it emerges from the roof of the Cavernous Sinus, enters the Orbit through Optic canal inferolateral to the optic nerve, both lying in a common dural sheath. Gives central artery to retina (an end artery), and also supplies ethmoidal sinuses by giving ethmoidal arteries.